Brain blood supply
1. 55 ml/100 gm/min
2. 400 ml/100gm/min
3. 100 ml/100gm/min
4. 200 ml/100gm/min

Correct answer: 1. 55 ml/100 gm/min

Explanation: -        Brain blood supply - 750ml/min OR 55ml/100gm/min OR 13.9% of cardiac output